Most common type of atrial septal defect is ?
1. Ostium primum
2. Ostium secondum
3. Endocardial cushion defect
4. Endocardial hypertrophy

Correct answer: 2. Ostium secondum

Explanation: Ans. is 'b' i.e., Ostium secondum